In LVF,  the drug which can be administered is:
1. Propranolol
2. Morphine
3. Amlodipine
4. Epinephrine

Correct answer: 2. Morphine